World diabetes day is celebrated on ?
1. 8th may
2. 8th march
3. 14th November
4. 1" december

Correct answer: 3. 14th November

Explanation: Ans. is 'c' i.e., 14th November8 May - World Red Cross Day8th March - International Women's Day14th November -/ World Diabetes Dayl' December - World AIDS Day